Which of the following is not a malabsorption syndrome?
1. Whipple's disease
2. Coeliac disease
3. Tropical sprue
4. Tangier's disease

Correct answer: 4. Tangier's disease

Explanation: Tangier's disease is an autosomal recessive disorder caused by mutations in the ATP binding cassette transporter 1(ABC1) gene.It is characterized by multiple mononeuropathies, polyneuropathy or pseudo-syringomyelia pattern with yellowish orange tonsils, lymphadenopathy, splenomegaly may also be present.There will be markedly reduced levels of HDL and increased levels of triacylglycerol.There are many causes of malabsorption. Some specific disease entities are celiac disease, tropical sprue, Whipple's disease, Bacterial overgrowth syndrome, Short bowel syndrome, Protein-losing enteropathy.Ref: Harrison 18/e p2475, 3456.